In young permanent teeth the best method of sensitivity testing for traumatized teeth is Carbondioxide snow which can go up to temperature of
1. —20°C
2. —30°C
3. —40°C
4. —78°C

Correct answer: 4. —78°C